Tongue develops from all except:
1. Lingual swellings
2. Tuberculum impar
3. Hypobranchial eminence
4. Frontonasal process

Correct answer: 4. Frontonasal process

Explanation: Ans. D. Frontonasal processThe tongue is divided into two parts: oral part (anterior two third) and pharyngeal part (posterior one-third).a. The oral part of tongue develops from three swellings associated with first pharyngeal arch. These swellings are two lateral lingual swellings and one median swelling--the tuberculum impar.b. The pharyngeal part of tongue develops from a median swelling called hypobranchial eminence associated with third, and fourth pharyngeal arches.c. Muscles of tongue develop from occipital myotomes.